Which is the restoration of choice in a patient having moderate carious lesion with heavy occlusal forces?
1. gold foil
2. amalgam
3. cast inlay
4. ceramic inlay

Correct answer: 2. amalgam